All of the following are true about BCG vaccine except.
1. WHO recommends Danish 1331 strain of M.bovis
2. Given intradermally
3. Normal saline is a diluent
4. Site of injection should be cleaned with spirit

Correct answer: 4. Site of injection should be cleaned with spirit

Explanation: Site of injection should be cleaned with soap but not with disinfectant or spirit.